MDPI  does not include
1. Health
2. Per capita income
3. Education
4. Standard of living

Correct answer: 2. Per capita income

Explanation: MDPI includes

Health.
Education.
Standerd of living.